Best treatment option for Molluscum contagious is -
1. Phototherapy
2. Immunosuppressives
3. Antiviral drugs
4. Electrocautery

Correct answer: 4. Electrocautery

Explanation: Ans is 'd' i.e. Electrocautery Molluscum contagiosumo It is a common viral infection in children. It is caused by a poxvirus, i.e., Molluscum contagiosum virus. It is characterized by multiple pearly white, dome-shaped papules which are umbilicated centrally. On using a hand lens, many of the papules have a mosaic appearance. Epidermal cells contain eosinophilic intracytoplasmic inclusion bodies (Molluscum or Henderso-Paterson bodies). Autoinoculation can give rise to lesions arranged linearly along the line of trauma - pseudoisomorphic (pseudokoebner 's) phenomenon. M.C. may involve any part of the body - In children face is involved most commonly. Anogenital molluscum contagiosum is an STD.Treatment options for Molluscum contagiosumo Curettage, electrocautery, and cryotherapy are simple and effective methods.o Imiquimod, a recently introduced immunostimulant is helpful in patients with multiple lesions and in small children.